Shigella can be differentiated from E.Coli by all of the following features except -
1. Shigella does not produce gas from glucose
2. Shigella does not ferment lactose
3. Shigella does not ferment mannitol
4. Shigella has no flagella, and is non motile

Correct answer: 3. Shigella does not ferment mannitol